Benign tumour of voluntary muscle
1. Leiomyoma
2. Rhabdomyoma
3. Rhabdomyosarcoma
4. Leiomyosarcorna

Correct answer: 2. Rhabdomyoma